"Smudge cells" in the peripheral smear are characteristic of-
1. Chronic myelogenous leukemia
2. Chronic lymphocytic leukemia
3. Acute myelogenous leukemia
4. Acute lymphoblastic leukemia

Correct answer: 2. Chronic lymphocytic leukemia

Explanation: Smudge cells are seen in CLL. The blood contains large numbers of small round lymphocytes with scant cytoplasm. Some of the cells are usually disrupted in the process of making smears,producing so called smudge cells Ref : Robbins and Cotran Pathologic basis of disease.South Asia Edition volume 1.Page no.593